DeQuervain's disease classically affects the:
1. Flexor pollicis longus and brevis
2. Extensor carpi radialis and extensor pollicis longus
3. Abductor pollicis longus and brevis
4. Extensor pollicis brevis and abductor pollicis longus

Correct answer: 4. Extensor pollicis brevis and abductor pollicis longus

Explanation: Ans. is 'd' ie Extensor pollicis brevis and abductor pollicis longus (Ref: Maheshwari 3/e, p257; Apley's, 8/e, p328).De Quervain's tenovaginitisIs inflammation of the common sheath of abductor pollicis longus and extensor pollicis brevis?Clinical featuresThe patient usually a woman aged 40-50 years, who complains of pain on the radial side of the wrist.On clinical examination, tenderness is localized to the radial styloid process.Finkelstein's TestThe examiner places the patients thumb across the palm in full flexion and then, holding the patients hand firmly, turns the wrist sharply into adduction.In a positive test this is acutely painful.On repeating the movement with the thumb left free is relatively painless.TreatmentEarly cases can be relieved by corticosteroid injection into the tendon sheath and sometimes splintage of the wrist.Resistant cases need an operation, which consists of slitting the thickened tendon sheath.